A 45 year old female presents with symptoms of acute cholecystisis . On USG there is a solitary gall stone of size 1.5 cm. Symptoms are controlled with medical management. Which of the following is the next most apppropriate step in the management of this patient.
1. Regular follow up
2. IV Antibiotics
3. Laparoscopy cholecystectomy immediately
4. Open cholecystectomy immediately

Correct answer: 3. Laparoscopy cholecystectomy immediately

Explanation: Laparoscopic cholecystectomy is the gold standard treatment for gallstones,especially with symptoms or complications like acute cholecystitis.Some surgeons advocate urgent operation on a routine measure in cases of acute cholecystitis..Good results are obtained when the operation is undertaken within 5-7 days of the onset of the attack.If an early operation is not indicated,one should wait for approximately 6 weeks for the inflammation to subside before proceeding to operation. Reference:Bailey & Love's short practise of surgery,25th edition,page no:1121,1122.